Which one of the following is not a germ cell tumour of ovary-
1. Dysgerminoma
2. Teratoma
3. Endodermal sinus tumor
4. Brenner's tumour

Correct answer: 4. Brenner's tumour

Explanation: Ans. is 'd' i.e., Brenner's tumour Surface epithelial tumorsGerm cell tumorsSex cord stromal tumors* Serous tumor* Teratoma* Thecoma* Mucinous tumor* Dysgerminoma* Fibroma* Endometrial tumor* Endodermal sinus tumor* Granulosa-theca cell tumor* Clear cell tumor* Choriocarcinoma* Sertoli-leydig cell tumor* Brenner tumor * Hilus cell tumors* Cysadenofibroma